All the following are used for treatment of chronic Hepatitis B except?
1. Entecavir
2. Telbivudine
3. Zidovudine
4. Lamivudine

Correct answer: 3. Zidovudine

Explanation: Entecavir Entecavir, an oral cyclopentyl guanosine analogue polymerase inhibitor, appears to be the most potent of the HBV antivirals. Telbivudine Telbivudine, a cytosine analogue, appears to be similar in efficacy to entecavir; however, it is slightly less potent in suppressing HBV DNA. Lamivudine Lamivudine inhibits reverse transcriptase activity of both HIV and HBV and is a potent and effective agent for patients with chronic hepatitis B.